Succinylcholine is contraindicated in  all except
1. Burns
2. Muscle dystrophy
3. Rapid sequence intubation
4. Neuromuscular disease

Correct answer: 3. Rapid sequence intubation

Explanation: succinylcholine causes hyperkalemia in following conditions: 

Burns
Trauma
Neuromuscular disease
Muscle dystrophy
Denervation

So contraindicated in these conditions